Which one of the following will be affected by inter observer variation in epidemiological studies-
1. Sensitivity
2. Predictive value of the positive test
3. Specificity
4. Reliability

Correct answer: 4. Reliability

Explanation: ref: Park's 23rd edition pg 138 Reliability / repeatablility / Precision: that is test must give consistent results when repeated more than once on the same individual or material, under same conditions. Reliability of a test depends on 3 major factors: Observer variation (intra and inter) Biological variation Errors relating to technical methods.